Impaired insight is evident in
1. Psychosomatic disorder
2. Anxiety neurosis
3. Post Traumatic Stress Disorder
4. Schizophrenia

Correct answer: 4. Schizophrenia

Explanation: D i.e. Schizophrenia